The widest transverse diameter of the fetal skull is :
1. Biparietal diameter
2. Occipito-frontal diameter
3. Bitemporal diameter
4. Suboccipito-frontal diameter

Correct answer: 1. Biparietal diameter

Explanation: Transverse diameters of fetal skull in mechanism of labor are: Biparietal diameter: 9.5cm Super-subparietal: 8.5cm Bitemporal: 8cm Bimastoid: 7.5cm Reference: D C Dutta Textbook of Obstetrics 7th edition,page 85